A known alcoholic presents to to the emergency room with hematemesis. On examination he has ascites with splenomegaly and
gynaecomastia Diagnosis is -
1. Portal hypertension secondary to viral hepatitis
2. Budd Chiari Syndrome
3. Portal hypertension due to Alcoholic cirrhosis
4. Primary Sclerosing Cholangitis

Correct answer: 3. Portal hypertension due to Alcoholic cirrhosis

Explanation: The patient clearly has portal hypertension due to alcoholic cirrhosis (Gynaecomastia indicates cirrhosis as a cause of portal hypertension).